Barrier type of contraception among the following:
1. OCP
2. IUCD
3. Spermicidal jelly
4. Symptothermic method

Correct answer: 3. Spermicidal jelly

Explanation: Ref: Dutta textbook of obstetrics 5th ed pg.534Explanation:BARRIER METHODS OF CONTRACEPTIONMale-condomsFemale-condom, diaphragm, cervical capSpermicidal creams, jelly and foam tablets Mechanism of action:Prevents sperm deposition in vagina,Prevents sperm penetration through the cervical os,Spermicides cause sperm immobilization.